Which of the following is the most common tumor of the salivary gland?
1. Mucoepidermoid tumor
2. Warthin's tumor
3. Acinic cell tumor
4. Pleomorphic adenoma

Correct answer: 4. Pleomorphic adenoma

Explanation: Pleomorphic adenoma is the most common salivary gland tumor in both children and adults. Women are more commonly affected, and the mean age at presentation 4th to 6th decade. Patients present with painless, slow growing mass. On examination it is a solitary, well defined, firm and mobile mass. Within the parotid gland 90% of the adenoma occur lateral to facial nerve within the superficial lobe and most of these are in the tail of the parotid at the angle of jaw. Fine needle aspiration is used in the diagnosis of pleomorphic adenoma. Ref: Salivary Gland Cytopathology By William C. Faqui, Page 83; A Colour Handbook of Oral Medicine By Michael A. O. Lewis and Richard C. K. Jordan, Page 103; CURRENT Diagnosis and Treatment in Otolaryngology - Head and Neck Surgery, 3rd Edition, Chapters 18, 19